Lateral wall of middle ear is formed by:
1. Tegmen tympani
2. Mastoid process
3. Promontory
4. Tympanic membrane

Correct answer: 4. Tympanic membrane

Explanation: Roof - Thin plate called as tegmen tympaniFloor - Jugular bulbAnterior wall - Internal carotid arteryPosterior wall - Lies close to mastoid air cellsMedial wall - labyrinthLateral wall - tympanic membrane